Janani suraksha yojana (JSY) was launched in:
1. 2003
2. 2005
3. 2007
4. 2008

Correct answer: 2. 2005

Explanation: JSY was launched on 12th April, 2005. JSY is a 100% centrally sponsored scheme. Ref: National Health Programmes in India, J.Kishore, 10th edition pg: 114